Virchow Lepra cells are seen in:
1. Tuberculoid leprosy
2. Indeterminate leprosy
3. Borderline tuberculoid leprosy
4. Lepromatous Leprosy

Correct answer: 4. Lepromatous Leprosy